Which of the following muscle relaxant undergo Hoffman's degradation?
1. Atracurium
2. Succinylcholine
3. Gallamine
4. Pancuronium

Correct answer: 1. Atracurium

Explanation: Atracurium is an intermediate acting nondepolarizing neuromuscular blocker which is inactivated in the plasma by spontaneous nonenzymatic degradation (Hoffman's elimination) in addition to that by cholinesterase.